Which of the following is not targeted in Millenium Development Goals (MDGs)?
1. Eradicating extreme poverty
2. Fostering global partnership for development
3. Reducing child mortality
4. Improving health care delivery

Correct answer: 4. Improving health care delivery

Explanation: Governments have set a date of 2015 by which they would meet the MDGs I.e, eradicate extreme poverty and hunger;achieve universal primary education;promotes gender equality;improve maternal health,ensure environmental sustainability and develop a global partnership for development (refer pgno:893 park 23rd edition)